Surgery for single perforation due to typhoid is:
1. Resection with end to end anastomosis
2. Resection with side to side anastomosis
3. Primary closure
4. Diversion

Correct answer: 3. Primary closure

Explanation: Ans. (c) Primary closureRef: Sabiston 20th edition, Page 1267Typhoid perforation:* Occurs in 2% cases* Due to ulceration of Peyer's patches perforation commonly occurs at terminal ileum and usually it is a single perforation* Simple closure is treatment of choice* If perforation is multiple (25%) resection and anastomosis or exteriorization may be needed.